TSH acting through
1. Ion channels
2. Nuclear receptors
3. cAMP
4. Cytoplasmic receptors

Correct answer: 3. cAMP

Explanation: Thyroid-stimulating hormone (also known as TSH or thyrotropin) is a hormone that stimulates the thyroid gland to produce thyroxine (T4), and then triiodothyronine (T3) which stimulates the metabolism of almost every tissue in the body. It is a glycoprotein hormone synthesized and secreted by thyrotrope cells in the anterior pituitary gland, which regulates the endocrine function of the thyroid gland. The TSH receptor is a member of the G protein-coupled receptor superfamily of integral membrane proteins and is coupled to the Gs proteins.Ref: Ganong's review of medical physiology; 24th edition; page no-302